The most appropriate test to assess the prevalence of tuberculosis infection in a community is -
1. Mass miniature radiotheraphy
2. Sputum examination
3. Tuberculin test
4. Clinical examination

Correct answer: 3. Tuberculin test

Explanation: The tuberculin test is the only means of estimating the prevalence of infection in a population. Reference; Park's Textbook of preventive and social medicine, 24th edition.Pg no. 195